Degree of normal intestinal loop rotation is:
1. 180deg counterclockwise
2. 180deg clockwise
3. 270deg counterclockwise
4. 270deg clockwise

Correct answer: 3. 270deg counterclockwise

Explanation: Abnormal rotation of the intestinal loop may result in twisting of the intestine (volvulus) and a compromise of the blood supply. Normally, the primary intestinal loop rotates 270deg counterclockwise. Ref: Langman's embryology 11th edition Chapter 14.